Ultrasonic devices operate at
1. 25-30 KHz
2. 35-40 KHz
3. 2-3 KHz
4. 5-10 KHz

Correct answer: 1. 25-30 KHz